S2 is associated with ?
1. Rapid ventricular filling
2. Atrial contraction
3. Closure of semilunar valves
4. Closure of AV valves

Correct answer: 3. Closure of semilunar valves

Explanation: Ans. is 'c' i.e., Closure of semilunar valves